The usual maximum dose of furosemide and spironolactone in patients with cirrhosis and portal hypertension is:
1. Furosemide 160 mg and spironolactone 400 mg
2. Furosemide 80 mg and spironolactone 400 mg
3. Furosemide 160 mg and spironolactone 200 mg
4. Furosemide 80 mg and spironolactone 200 mg

Correct answer: 1. Furosemide 160 mg and spironolactone 400 mg

Explanation: Usual maximum doses of diuretic for the treatment of ascites in decompensated cirrhosis are 400 mg/day of spironolactone and 160 mg/day of furosemide. Furosemide can be temporarily withheld in patients presenting with hypokalemia, which is very common in the setting of alcoholic hepatitis. Ref: HEPATOLOGY, June 2009.